Affiliation refers to
1. Paternity dispute
2. Divorece case
3. Rape
4. Adultery

Correct answer: 1. Paternity dispute

Explanation: Affiliation orders are legal documents declaring that a man is the father of a child under question.